Smell of bitter almonds is seen in poisoning with
1. Phosphorus
2. Hydrocyanic acid
3. Nitric acid
4. Oxalic acid

Correct answer: 2. Hydrocyanic acid

Explanation: Cyanide can be a colorless gas, such as hydrogen cyanide (HCN) or cyanogen chloride (CNCl), or a crystal form such as sodium cyanide (NaCN) or potassiumcyanide (KCN). Cyanide sometimes is described as having a "bitter almond" smell, but it does not always give off an odor, and not everyone can detect this odor. Ref ganong's review of medical physiology 25e p143